Which of the following is a mature defense mechanism?
1. Anticipation
2. Projection
3. Undoing
4. Isolation of affect

Correct answer: 1. Anticipation

Explanation: Anticipation is a mature defense mechanism where an individual plans in advance to deal with an uncomfortable event.
Ex: A student who has failed in his exam plans for his arguements to console his parents while returning home.